All of the following are helpful for diagnosis of medullary Ca thyroid except -
1. Spindle cell stroma with few follicles
2. Amyloid deposition
3. Calcitonin in stroma
4. Histological mitochondria is essential for diagnosis

Correct answer: 4. Histological mitochondria is essential for diagnosis

Explanation: Important Diagnostic Features of Medullary carcinoma are :
Acellular amyloid deposition.
Calcitonin secretion by tumour cells.
Microscopically polygonal to spindle cell may form nests, trabeculae and even follicles.
Electron Microscopy showing variable no. of electron-dense granules (Membrane-bound) within the cytoplasm.